The term sentinel lymph node was first used by?
1. Gould
2. Norman
3. Giuliano
4. Cabanas

Correct answer: 1. Gould

Explanation: Ans. is 'a' i.e., GouldThe sentinel lymph node is the hypothetical first lymph node or group of nodes draining a cancer.The term sentinel lymph node was first used by Gould.